If rubella occurs in 9-10 weeks of pregnancy what is the chance of transmission to the fetus -
1. 85%
2. 20%
3. 30%
4. 40%

Correct answer: 1. 85%

Explanation: *first trimester is most disastrous for foetus as the organs are developing *infection during this period results in abnormalities in infants in 85% *in second trimester,detectable defects are found in 16%of infants *after 20 weeks,birth defects are uncommon (park,edition 23,page 151)